Flaky paint appearance of skin is seen in
1. Dermatitis
2. Pellagra
3. Marasmus
4. Kwashiorkor

Correct answer: 4. Kwashiorkor

Explanation: There are skin lesions in kwashiorkor which consist of increased pigmentation, desquamation, and dyspigmentation. Pigmentation, when gets confluent, is known as flaky paint dermatitis. Ref: Page 100; Ghai Essential Pediatrics; 8th edition.